If the prevalence is very low as compared to the incidence for a disease, it implies
1. Disease is very fatal and/or easily curable
2. Disease is non-fatal
3. Calculation of prevalence & incidence is wrong
4. Nothing can be said, as they are independent

Correct answer: 1. Disease is very fatal and/or easily curable

Explanation: Prevalence = Incidence * Duration of illnessIf incidence is high and prevalence is low compared to the incidence, it means the duration of illness is low.Duration can be low if the disease is fatal or disease is easily curable.Park 23e pg: 62